Screening test used in first trimester for aneuploidy -
1. PAPP-A &estradiol
2. PAPP-A & AFP
3. PAPP-A &beta HCG
4. Beta HCG & inhibin

Correct answer: 3. PAPP-A &beta HCG

Explanation: Ans. is'c'i.e., PAPP-A &beta HCG1st trimester aneuploidy screening:Human chorionic gonadotropin (either intact or free (b-hCG).Pregnancy-associated plasma protein A (PAPP-A).Fetal Down syndrome in 1st trimester:Higher serum free beta-hCG level.Lower PAPP-A levels.Trisomy 18 & 13:Lowered levels of both HCG PAPPP-A.2nd trimester analytes:Serum integrated screening.Accuracy of aneuploidy detection:Greater on combination with,Sonographic NT measurement.